True about dysgerminoma of ovary:a) Blood spread seenb) Schiller-Duval bodies seenc) Increase alfa fetoproteind) Bleomycin, etoposide and cisplatin givene) Radiosensitive
1. ade
2. bde
3. abd
4. ad

Correct answer: 1. ade

Explanation: Dysgerminoma:
• Commonest malignant germ cell tumour of ovary.
They are the most common ovarian malignancy detected during pregnancy.
• Primarily affect young women (average age of incidence is 20 years) and not postmenopausal females.
• Usually unilateral but they are the only germ cell malignancy with a significant rate of bilateral ovarian involvement
– 15 to 20%.
• Pathologically it is a solid neoplasm with areas of softening due to degeneration.
“Consistency is fleshy”
• Unlike other germ cell tumours it does not secrete AFP and HCG is only rarely secreted, however it secretes LDH and placental alkaline phosphate, which are used as tumour marker of dysgerminoma.
M/C, route of spread is via lymphatics(Novaks 15/e,p1396) but hematogenous and direct spread are also seen.
• Dysgerminoma is the most radio sensitive tumour,:Q But treatment of choice is surgery (unilateral salpingo oophorectomy) along with proper surgical staging followed by Bleomycin, Etoposide and Cisplatin (BEP) based chemotherapy as fertility can be preserved.
Chemotherapy is helpful in metastatic spread
• They have the best prognosis of all malignant ovarian germ cell variants.
Recurrence rate is high.